Stain used for glycogen ?
1. PAS
2. Cango red
3. Prussian blue
4. Alician blue

Correct answer: 1. PAS

Explanation: Ans. is 'a' i.e., PAS PAS reaction is a technique for demonstration of glycogen in tissue sections. PAS strands for Periodic acid schiff. The purpose of the periodic acid is to oxidize some of the tissue carbohydrates. This produces aldehyde group which can then condense with schiff's reagent forming a megenta colouration. The t/t with periodic acid oxidize only those carbohydrates which have 1-2 glycols in their structure. Since all carbohydrates do not include this structure, the PAS is not a method for carbohydrates in general but only for those which contain 1-2 glycols or closely related structure. The following criteria must be presnt in tissue substance to give a PAS postive reaction - It must contain the 1-2 glycol grouping, an equivalent amino or alkylamino grouping, or the oxidation product CHOH-CO. It must not diffuse away during fixation It must given an oxidation product which does not diffuse away It must be present in sufficient concentration to produce a detectable final colour. Carbohydrates which usually stain with this method include - Polysaccharides Mucopolysaccharides Glycoproteins Glycolipids F.A.S. staining is useful in all of the following ? Glycogen Neutral mucosubstances Some epithelial sulfomucins and sialomucins Basement memrbane Cerebrosides Gangliosides Cartilage Kerasin (Gaucher's disease)